Which of the following agents is recommended for medical treatment of variceal bleed:
1. Octreotide
2. Desmopressin
3. Vasopressin
4. Nitroglycerine

Correct answer: 1. Octreotide

Explanation: Ans. (a) Octreotide* DOC in management of Acute Variceal Bleed- Octreotide* Terlipressin is released in sustained manner - may also be used to control variceal bleeding (better than Vasopressin)